Most common benign heart tumor is -
1. Rhabdomyoma
2. Hemangioma
3. Lipoma
4. Myxoma

Correct answer: 4. Myxoma

Explanation: Ans. is 'd' i.e., Myxomao The most frequent cardiac tumor for all age groups is - Metastasis.o The most frequent primary cardiac tumor for all age groups is - Myxoma.o The most frequent primary cardiac tumor in infants and children is - Rhabdomyoma.Cardiac myxomao This is the most common primary tumor of heart,o Most commonly seen in the left atrium.o More common in females.o Myxoma may be of two types1. Sporadic myxomaso These are the usual form of myxomas (more than 90% of myxomas are sporadic).o Mean age is 56 years,o Most sporadic myxomas are solitary.2. Familial myxomaso Constitute less than 10% of all myxomas,o Occurs at a younger age.o Myxomas are bilateral and multiple,o Myxomas may occur in locations other than atria.o Some patients with cardiac myxoma have a syndrome, i.e. carney syndrome that consists of: -i) Myxoma ii) Spotty pigmentation iii) EndocrinopathyMorphologyo The region of the fossa ovalis in the atrial septum is the favored site of origin,o Myxoma may be pedunculated or sessile,o Pedunculated myxoma can move and obstruct the AV valve.o Myxomas are gelatinous structures consisting of myxoma cells (lepidic cells), endothelial and smooth muscle cells embedded in a stroma rich in glycosaminoglycans.